Phase 3 is
1. High Stationary Stage
2. Late expanding stage
3. Low Stationary stage
4. Early expanding stage

Correct answer: 2. Late expanding stage

Explanation: Demographic cycle based on CBR & CDR Demographic cycle CBR CDR 1st stage High stationary High High 2nd stage Early expanding High Start decreasing 3rd stage Late expanding Start decreasing Already decreasing 4th stage Low stationary Low Low 5th stage Decline CDR > CBR